Which of the following is an inert metal that can be left alone in eye?
1. Iron
2. Copper
3. Lead
4. Nickel

Correct answer: 3. Lead

Explanation: Lead is an inert material that can be left alone in eye without any intervention. Else all intraocular foreign bodies should ideally be removed surgically as the injury itself may induce damage as well as long term chemical toxicity INTRAOCULAR FOREIGN BODIES- They can be classified into the following types. 1) Frequently produce severe inflammatory reactions- Magnetic : Iron, steel, tin- Non - magnetic : Copper and vegetable matter- Typically produce mild inflammatory reactions- Magnetic : Nickel- Nonmagnetic : Aluminium, mercury, zinc, vegetable matter. 2)Inert foreign bodies- Carbon, coal, glass, gold, lead, stone